Normal volume of middle ear and mastoid ?
1. 1 cc
2. 6 cc
3. 12 cc
4. 15 cc

Correct answer: 2. 6 cc

Explanation: Ans. is 'b' i.e., 6 cc l ReJ: Glasscock-shambaugh surgery of the ear p. 65)The normal average volume of middle ear and mastoid is 6 cc.